Which of the following is not seen in hypothyrodism?
1. Oedema
2. Coldskin
3. Diastolic hypertension
4. Atrial fibrillation

Correct answer: 4. Atrial fibrillation

Explanation: Atrial fibrillatons are a feature of hyperthyroidism not hypothyroidism Features of hyperthyroidism and hypothyroiism Ref - Davidsons 2e p637